Ascending aorta involvement is the commonest site of which aneuryam -
1. Syphilitic
2. Atherosclerotic
3. Mycotic
4. None of the above

Correct answer: 1. Syphilitic

Explanation: Ans. is 'a' i.e., Syphilitic